Which topical fluoride agent makes use of thixotrophic properties for better penetration into inter proximal areas?
1. Sodium fluoride solution
2. Fluoride foam
3. Acidulated phosphate fluoride gel
4. Fluoride varnish

Correct answer: 3. Acidulated phosphate fluoride gel